Plateau phase of action potential of cardiac muscle starts with
1. Inactivation of Na+ channel
2. Entry of Ca2+
3. Opening of K+ channel
4. Closure of K+ channel

Correct answer: 2. Entry of Ca2+

Explanation: Plateau phase (Phase 2) starts with entry of Ca2+
Ca2+ entry is counterbalanced by efflux of K+. Hence, Plateau is maintained.